Medical ethics in genetic counselling involve all except:
1. Beneficence
2. Confidentiality
3. Informed consent
4. Directive guidance

Correct answer: 4. Directive guidance